Which of the following induction agent produce cardiac stability in coronary artery disease patients?
1. Ketamine
2. Etomidate
3. Propofol
4. Midazolam

Correct answer: 2. Etomidate

Explanation: Cardiovascular stability after induction is a major advantage of etomidate over either barbiturates or propofol. Induction doses of etomidate typically produce a small increase in heart rate andl little or no decrease in blood pressure or cardiac output. Etomidate has little effect on coronary perfusion pressure while reducing myocardial O2 consumption. Hence it is best suited to maintain cardiovascular stability in patients with coronary artery disease, cardiomyopathy, cerebral vascular disease, or hypovolemia. Ref: Patel P.M., Patel H.H., Roth D.M. (2011). Chapter 19. General Anesthetics and Therapeutic Gases. In L.L. Brunton, B.A. Chabner, B.C. Knollmann (Eds), Goodman & Gilman's The Pharmacological Basis of Therapeutics, 12e.